Best X-ray to determine age of 12 years child:
1. Hand and wrist
2. Foot and ankle
3. Pelvis
4. Shoulder

Correct answer: 1. Hand and wrist

Explanation: Ans. Hand and wrist